According to the Andreasen's modified classification of traumatic injuries, a fracture involving the enamel, coronal and radicular dentin and cementum with exposure of the pulp is categorized as:
1. Complicated tooth fracture
2. Uncomplicated crown root fracture
3. Complicated crown root fracture
4. Uncomplicated crown fracture

Correct answer: 3. Complicated crown root fracture

Explanation: Complicated crown fracture: A fracture involving enamel and dentin, and exposing the pulp.
Uncomplicated crown-root fracture: A fracture involving enamel, coronal and radicular dentin, and cementum, but not exposing pulp.
Complicated crown-root fracture: A fracture involving enamel, coronal and radicular dentin, and cementum with exposure of the pulp.
Root fracture: A fracture involving radicular dentin, cementum and pulp.